Treatment for hyperprolacteniemia is ?
1. Bromocriptine
2. Methyl Dopamine
3. Haloperidol
4. Chlorpromazine

Correct answer: 1. Bromocriptine

Explanation: .GALACTORRHOEA -It is secretion of milk not related to pregnancy or lactation. Primary galactorrhoea is due to stress and other factors. Reassurance is the treatment. Secondary galactorrhoea is due to enhanced dopamine activity -- by drugs (haloperidol, methyldopa, chlorpromazine, metoclopramide), -- hyperprolactinaemia due to tumours. Treatment * Bromocriptine. * Cause has to be treated. Note: Witch's milk is secretion of milk in both male and female infants due to maternal hormonal effects in foetus. It lasts upto 3 weeks after child birth. ref:SRB's manual of surgery,ed 3,pg no 465